A 38-year-old woman visits her gynecologist for a routine Pap smear examination. During the collection of cells from her uterine cervix she feels a mild pain. Which of the following areas is most likely to experience "referral of pain" during this procedure?
1. Perineum and lateral portion of the thigh
2. Suprapubic region
3. Umbilical region
4. Inguinal region

Correct answer: 1. Perineum and lateral portion of the thigh

Explanation: Pain from this area is mediated via parasympathetic responses and would thus travel to the S2 to S4 levels through the pelvic splanchnic nerves. The S2, S3, and S4 spinal cord levels also provide sensory innervation of the perineum and posterior thigh. The suprapubic and inguinal regions are supplied by ilioinguinal and iliohypogastric nerves (L1). The umbilical region receives sensory innervation from the T10 level. In the epigastric region the sensory innervation is provided by T7 to T10.